Scrub typhus is caused by-
1. R. tsutsugamushi
2. R. typhi
3. R. akari
4. R. conorii

Correct answer: 1. R. tsutsugamushi

Explanation: Ans. is 'a' i.e., R. tsutsugamushi DiseaseAgentInsect vectorMammalian reservoir1. Typhus group a. Epidemic typhusR. prowazekiiLouseHumansb. Murine typhus (Endemic typhus)R. typhiFleaRodentsc. Scrub typhusR. tsutsugamushiMiteRodents2. Spotted fever group a. Indian tick typhusR.conoriiTickRodents, dogsb. Rocky mountain spotted feverR.rickettsiiTickRodents, dogsc. Rickettsial poxR. akariMiteMice3. Others a. Q feverC.burnetiiNilCattle, sheep, goats.b. Trench feverRocholimaca quintanaLouseHumans